Upper premolars are supplied by
1. Anterior superior alveolar
2. Middle superior alveolar
3. Posterior superior alveolar
4. Inferior alveolar

Correct answer: 2. Middle superior alveolar